A man presents with fever and child 2 weeks after a louse bite. There was maculo-papolar rash on th trunk which spread peripherally. The cause of this infection can be -
1. Scrub typhus
2. Endemic typhus
3. Rickettsial pox
4. Epidemic typhus

Correct answer: 4. Epidemic typhus

Explanation: Epidemic typhus Park's textbook of preventive and social medicine,K.Park,23rd edition,page no:301.